Plasrnacytoid lymphomas may be associated with -
1. IgG
2. IgM
3. IgA
4. IgE

Correct answer: 2. IgM

Explanation: Plasmacytoid lymphoma is lymphoplasmacytic lymphoma.Its a B cell neoplasm in adults.Most commonly the plasma cell component secretes monoclonal IgM,often in amount sufficient to cause a hyperviscosity syndrome, Waldenstrom macroglobulinemia Ref:Robbins and Cotran Pathologic basis of disease.South Asia Edition-9; volume 1.page no.598,601